Thyroxine causes all the following except:
1. Decreased cell metabolism
2. Increased oxygen consumption
3. Increased pulmonary ventilation
4. Increased basal metabolism

Correct answer: 1. Decreased cell metabolism